Normal liver histology is seen in -
1. Gilbert's syndrome
2. Rotor syndrome
3. Criglar Najjar syndrome
4. All

Correct answer: 4. All

Explanation: Ans. is 'a' i.e., Gilbert's syndrome; 'b' i.e, Rotor syndrome; 'c' i.e, Crigler Najor syndrome